Alcohol present in ceramide is:
1. Glycerol
2. Sphingosine
3. Ethanol
4. Methanol

Correct answer: 2. Sphingosine

Explanation: No glycerol is present. The combination of sphingosine plus fatty acid is known as ceramide, a structure also found in the glycosphingolipids Ref: Harper 28th edition, chapter 16.